Periodontal ligament has predominantly:
1. Type II collagen fibres
2. Oxytalan fibres
3. Elastic fibres
4. Type I collagen fibres

Correct answer: 4. Type I collagen fibres